A 24 year old female presents with abdominal pain, hermaturia and arhthralgia. On examination, palpable purpuric rash was seen on trunk, limbs and buttocks. Coagulation tests were normal. What is the most probate diagnosis -
1. Hemolytic uremic syndrome
2. Henoch-Schonlein purpura
3. Meningococcemia
4. Thrombotic thrombocytopenic purpura

Correct answer: 2. Henoch-Schonlein purpura